If ketamine is the only agent used in reducing a dislocated shoulder, its actions will include:
1. Analgesia
2. Bradycardia
3. Hypotension
4. Respiratory depression

Correct answer: 1. Analgesia

Explanation: Ketamine - is a powerful analgesic agent. - It increases blood pressure, intraocular presure and intracranial tension. - It does not depress CVS and respiratory system.